Contraceptive action of combined pill is mainly due to:
1. Decrease in tubal motility
2. Prevents the fertilization
3. Prevents the implantation of fertilized egg
4. Inhibits ovulation

Correct answer: 4. Inhibits ovulation